Essential pentosuria is due to deficiency of
1. Gulonolactone oxidase
2. Phosphoglucomutase
3. Xylulose reductase
4. Fructokinase

Correct answer: 3. Xylulose reductase

Explanation: Repeated question